Splenectomy is useful in which of the following
1. Chronic ITP
2. Sickle cell anemia
3. Tuberculosis
4. Good pasteur syndrome

Correct answer: 1. Chronic ITP

Explanation: Reference Robbins